What types of cells are predominant in early phase of inflammation?
1. Macrophages
2. Basophills
3. Mast cells
4. Neutrophills

Correct answer: 4. Neutrophills

Explanation: Ans. is 'd' i.e., Neutrophilia * Neutrophils are the major cells in early phase of acute inflammation.* Macrophages are the major cells in late phase of acute inflammation and in chronic inflammation.